The eruption of temporary teeth will be completed by
1. One to one and half year
2. Two to two and half year
3. Three to four years
4. Four to five years

Correct answer: 2. Two to two and half year

Explanation: The eruption of temporary teeth is completed at around 25 months (2 years) by the eruption of 2nd molar.